In the mitogen activated protein kinase pathway, the activation of RAS is counteracted by:
1. Protein kinase C
2. GTPase activating protein
3. Phosphatidyl inositol
4. Inositol triphosphate

Correct answer: 2. GTPase activating protein

Explanation: Activated RAS is present in association with GTP. Enzyme GTPase will degrade GTP to GDP and result in inactivation of ras. Thus, GTPase activating protein will counteract the activation of ras.